The thoracic duct receives tributaries from all of the following except -
1. Bilateral ascending lumbar trunk
2. Bilateral descending thoracic trunk
3. Left upper intercostal duct
4. Right bronchomediastinal lymphatic trunk

Correct answer: 4. Right bronchomediastinal lymphatic trunk

Explanation: The left bronchomediastinal lymphatic trunk is a tributary of the thoracic duct. Right bronchomediastinal lymphatic trunk does not drain to the thoracic duct.